Spongiosis is seen in-
1. Acute eczema
2. Lichen plums
3. Psoriasis
4. pemphigus

Correct answer: 1. Acute eczema

Explanation: spongiosis is a characteristic histopathological finding seen in acute eczema. spongiosis occur due to intercellular edema IADVL TEXTBOOK OF DERMATOLOGY PAGE 489